Intramuscular Rabies vaccine Post exposure prophylaxis schedule is
1. 1-1-0-1-1
2. 1-1-1-1-1
3. 2-2-2-0-2
4. 8-0-4-0-0-4

Correct answer: 2. 1-1-1-1-1

Explanation: New Recommended Regimens/ Schedules { NEW GUIDELINES} Type of prophylaxis Regimen POST EXPOSURE INTRAMUSCULAR Essen Regimen (1-1-1-1-1) Day 0,3,7,14,28 POST EXPOSURE INTRADERMAL Updated Thai Red Cross Regimen (2-2-2-0-2) Day 0,3,7,28 POST-EXPOSURE IN VACCINATED INDIVIDUALS Day 0,3 PRE-EXPOSURE PROPHYLAXIS Day 0,7,21/28